During starvation, muscle uses ?
1. Fatty acids
2. Ketone bodies
3. Glucose
4. Proteins

Correct answer: 1. Fatty acids

Explanation: Ans. is 'a' i.e., Fatty acids